All of the following are example of Ratios except
1. Relative risk
2. Incidence
3. Sex ratio
4. Maternal mortality ratio

Correct answer: 2. Incidence

Explanation: Tools of measurement in epidemics: Rate = x 1000/ 10000/ 100000 ; a is part of b Ratio = a/b ; a is not a part of b Proportion = x 100 = % ; a is part of b - Eg: Rate Ratio Proportion IMR Incidence Crude death rate MMR Sex ratio Relative risk Prevalence Case fatality rate Survival rate Proportional mortality rate